Umbilical cord becomes black in
1. 2-3 days
2. 5-7 days
3. 7-10 days
4. 10-14 days

Correct answer: 1. 2-3 days

Explanation: The cord becomes brownish black within 2 or 3 days after bihIt falls off in about 10-14 days(Refer: Nelson's Textbook of Pediatrics, SAE, 1st edition, pg no. 811)